Which of the following is not tertiary level prevention-
1. Total mastectomy for breast cancer
2. Tendon transplant in leprosy
3. Physiotherapy in residual polio myelitis
4. Provision of spectacles for refractive errors

Correct answer: 1. Total mastectomy for breast cancer

Explanation: Total mastectomy for breast cancer is treatment, hence it is a secondary level of prevention.
In case of tertiary prevention all actions are designed to limit the disability or provide vocational, social medical, or psychological rehabilitation.